Hyperplastic arteriolitis with nerotizing arteriolitis is seen in -
1. B uerger 's disease
2. Benign hypertension
3. Malignant hypertension
4. Diabetes

Correct answer: 3. Malignant hypertension

Explanation: Ans. is 'c' i.e., Malignant hypertension